Which tumour is classically described as having a 'swiss cheese' appearance?
1. Rhabdomyosarcoma
2. Benign mixed tumour
3. Adenoid cystic carcinoma
4. Meningioma

Correct answer: 3. Adenoid cystic carcinoma

Explanation: Adenoid cystic carcinoma generally presents in young or middle-aged adults with a mean age of 40 years, but can occur in the first decade of life. On histology, the tumor is defined by bland appearing, but malignant epithelial cells clearly delineated from adjacent connective tissue. The tumor can present in several subtypes including cribriform (Swiss cheese), sclerosing, basaloid, comedocarcinoma, and tubular (ductal).